Trypsin, Chymotrypsin & Elastases -What type of enzymes are they?
1. Hydrolases
2. Lyases
3. Synthases
4. Synthetases

Correct answer: 1. Hydrolases

Explanation: Ans. is 'a' i.e., HydrolasesAll digestive enzymes (trypsin, pepsin, elastase, chymotrypsin) are hydratases.